Milkman's fracture is a type of:
1. Pseudofracture
2. Clavicular fracture
3. Humeral fracture
4. Metacarpal fracture

Correct answer: 1. Pseudofracture

Explanation: Milkman's fractures are pseudofractures (Looser's zones) seen at sites of mechanical stress or nutrient vessel entry that reflect areas of unmineralized woven bone. Ref: Grainger and Allison's Diagnostic Radiology, 4th Edition, Pages 1933, 1949; Differential Diagnosis in Conventional Radiology, 2nd Edition, Pages 73-4; Apley's System of Orthopedics and Fractures, 22nd Edition, Page 119